All of the statements regarding Lymes disease are true, EXCEPT:
1. Borellia bourgdroferi replicates locally and invades locally
2. Infection progresses inspite of good humoral jmmunity
3. Polymorphonuclear lymphocytosis in CSF suggest meningial involvement
4. IgA intrathecally confirms meningitis

Correct answer: 3. Polymorphonuclear lymphocytosis in CSF suggest meningial involvement

Explanation: CNS involvement in lymes disease is indicated by lymphocytic pleocytosis, elevated protein and normal glucose. Lymphocytic meningitis is confirmed by intrathecal IgM, IgG or IgA antibodies to Borrelia Burdogferi. Borrelia burdogferi replicates in the skin and then disseminates bloodstream to other organs leading to extracutaneous manifestations. 3 Stages of Lymes disease infection are: Stage 1: Flu like symptoms and erythema migrans Stage 2: Facial palsy, meningitis Stage3 : Arthritis